Dietary fibres contain:-
1. Polysaccharide
2. Non-starch polysaccharide
3. Disaccharide and monosaccharide
4. Monosaccharide

Correct answer: 2. Non-starch polysaccharide

Explanation: Dietary fibre Dietary fibre is a non-starch polysaccharide and a physiologically important component of diet. There are two types of dietary fibres:- Insoluble fibres: cellulose, hemi-cellulose and lignin. Soluble fibres: pectins, gums and mucilages.